Mac Conkey's Agar is -
1. Enriched medium
2. Enrichment medium
3. Differential medium
4. Synthetic medium

Correct answer: 3. Differential medium

Explanation: Ans. is 'c' i.e., Differential medium